Langerhan's cells are -
1. Phagocytic cells
2. Antigen presenting cells
3. Seen in auto immune conditions
4. Seen in chronic infection

Correct answer: 2. Antigen presenting cells

Explanation: Ans. is 'b' i.e., Antigen presenting cells Langerhans cells are dendritic cells They acts as antigen presenting cells.